Red line in pure tone audiometry is for
1. Bone conduction
2. Air conduction
3. Right ear
4. Left ear

Correct answer: 3. Right ear

Explanation: Red line: Right ear Blue line: Left ear Continuous line: Air Conduction Dotted line: Bone conduction Ref: Dhingra; 6th Edition; pg no 30